The drug of choice in mycoplasma pneumonia in children is –
1. Tetracycline
2. Streptomycin
3. Cotrimoxazole
4. Erythromycin

Correct answer: 4. Erythromycin

Explanation: Treatment of pneumonia in children

For mildly ill patient (not require hospitalization)


Empirical treatment → Amoxicillin is the DOC.


Atypical (mycoplasma) pneumonia → macrolides (Azithromycin, Erythromycin).

For Hospitalized patients

IV cefuroxime or cefotaxime or ceftriaxone.
If clinical features suggest staphylococcal pneumonia, vancomycin or clindamycin are also added.